Which among the following is a function of prolactin during lactation?
1. Increased FSH
2. Increased libido
3. Increased testosterone
4. Decreased estrogen

Correct answer: 4. Decreased estrogen

Explanation: Prolactin (PRL) acts to induce and maintain lactation, decrease reproductive function, and suppress sexual drive. PRL inhibits reproductive function by suppressing hypothalamic GnRH and pituitary gonadotropin secretion and by impairing gonadal steroidogenesis in both women and men. In the ovary, PRL blocks folliculogenesis and inhibits granulosa cell aromatase activity, leading to hypoestrogenism and anovulation. PRL also has a luteolytic effect, generating a shortened, or inadequate, luteal phase of the menstrual cycle. In men, attenuated LH secretion leads to low testosterone levels and decreased spermatogenesis. These hormonal changes decrease libido and reduce fertility in patients with hyperprolactinemia. Ref: Melmed S., Jameson J.L. (2012). Chapter 339. Disorders of the Anterior Pituitary and Hypothalamus. In D.L. Longo, A.S. Fauci, D.L. Kasper, S.L. Hauser, J.L. Jameson, J. Loscalzo (Eds), Harrison's Principles of Internal Medicine, 18e.